Multifactorial inheritance is most likely to play a signifant role in the appearance of-
1. Achondroplasia
2. Lysosomal storage disease
3. Cleft lip
4. Huntington disease

Correct answer: 3. Cleft lip

Explanation: Ans. is `c' i.e., Cleft lipDisorders with multifactorial inheritanceo The multifactorial disorders result from the combined actions of environmental influences and two or more mutant genes having additive effects.o Multifactorial disorders are ?Cleft lip/cleft palate 3. Coronary heart disease 5. Diabetes melitus 7. Pyloric stenosisCongenital heart diseases 4. Hypertension 6. Gout